Which of the following is associated with adult polycystic kidney disease -
1. Berry aneurysms in Circle of Willis
2. Saccular aneurysms of aorta
3. Fusiform aneurysms of aorta
4. Leutic aneurysms

Correct answer: 1. Berry aneurysms in Circle of Willis